A machinery worker in a factory has profuse rhinorrhea and sneezing. Which among the following is the best drug to be given to him?
1. Diphenhydramine
2. Cetrizine
3. Promethazine
4. Hydroxyzine

Correct answer: 2. Cetrizine

Explanation: First-generation antihistaminic drugs can penetrate the blood brain barrier and thus result in sedation and psychomotor impairment. Therefore, these drugs are contraindicated in persons requiring constant attention (like truck drivers, machinery operators and swimmers)